Extraadrenal Pheochromocytoma predominantly secretes:
1. Epinephrine
2. Norepinephrine
3. Dopamine
4. DOPA

Correct answer: 2. Norepinephrine

Explanation: Answer is B (Norepinephrine): Most extraadrenal pheochromocytomas secrete norepinephrine exclusively Most pheochromocytomas produce both norepinephrine and epinephrine and the percentage of norepinephrine is usually greater than in normal adrenal. Most Extraadrenal pheochromocytoma secrete norepinephrine exclusively. Pheochromocytomas in association with MEN may rarely produce epinephrine alone.